The water cane in the larynx (saccules) are present in
1. Laryngeal ventricles
2. Reinke's space
3. Paraglottic space
4. Pyriform fossa

Correct answer: 1. Laryngeal ventricles

Explanation: Ventricle (sinus of larynx):- It is a deep elliptical space between vestibular and vocal folds, also extending a short distance above and lateral to vestibular fold. The saccule is a diverticulum of mucous membrane which starts from the anterior part of ventricular cavity and extends upwards between vestibular folds and lamina of thyroid cartilage. When abnormally enlarged and distended, it may form a laryngocele--an air containing sac which may present in the neck. There are many mucous glands in the saccule, which help to lubricate the vocal cords. Ref:- Dhingra; pg num:-284